The marker for B lymphocyte is
1. CD19
2. CD68
3. CD34
4. CD4

Correct answer: 1. CD19

Explanation: CD19 is a marker of B lymphocytesPrimarily B cell-associated antigensCD10 and CD19 to CD23 i.e. CD10, CD19, CD20, CD21, CD22, CD23Primarily T cell-associated antigensCD1 to CD8 with the exception of CD6Primarily monocyte macrophage-associated antigensCD13, CD14, CD15, CD33Primarily NK cells associated antigensCD16 and CD56 (also CD2 which is found expressed in a subset(Ref: Harrison's 18/e p2652)